The primary function of Toll like Receptors is?-
1. Vasodilation
2. Activation of Immune System
3. Regulation of Calcium channel
4. Second Messenger

Correct answer: 2. Activation of Immune System

Explanation: Toll-like receptors (TLRs) are microbial sensors that are named for the founding member called Toll, which was discovered in Drosophila. There are ten mammalian TLRs, which recognize products of bacteria (such as endotoxin and bacterial DNA), viruses (such as double-stranded RNA), and other pathogens . TLRs are located in plasma membranes and endosomes, so they are able to detect extracellular and ingested microbes. They are complemented by cytoplasmic and membrane molecules, from several other families, that also recognize microbial products. TLRs and the other receptors recognize products of different types of microbes and thus provide defense against essentially all classes of infectious pathogens. Recognition of microbes by these receptors activates transcription factors that stimulate the production of a number of secreted and membrane proteins. These proteins include mediators of inflammation, antiviral cytokines (interfer-ons), and proteins that promote lymphocyte activation and even more potent immune responses. Robbins 9 th edition page no. 32